Bromhexine acts by
1. Central opiod agonism
2. Muscarine receptor antagonism
3. Depolymerisation of mucopolysaccharides
4. MAO inhibitor

Correct answer: 3. Depolymerisation of mucopolysaccharides

Explanation: Bromhexine acts by depolymerisation of mucopolysaccarides and making the mucus less viscid and thus acts as a expectorant.